A 32 year old high altitude rock climber is observed to have a hematocrit of 70 percent. Which of the following represents the MOST likely explanation?
1. Polycythemia with increased red cell mass
2. Relative Polycythemia due to dehydration
3. Polycythemia due to hemoconcentration
4. Polycythemia with high altitude pulmonary edema

Correct answer: 1. Polycythemia with increased red cell mass

Explanation: Mountaineers at high altitude develop physiological increase in erythropoietin levels due to decreased arterial oxygen saturation. This leads to absolute Polycythemia with increased red cell mass. 'Red cell mass' is the investigation of choice to establish the diagnosis. Once 'red cell mass' determination confirms absolute erythrocytosis, a diagnosis of high altitude associated secondary Polycythemia can be established by demonstrating elevation in serum erythropoetin levels. Ref: Review of Medical Physiology by William ganong, 22nd edn/page 686.